Unit of absorbed radiation is
1. Roentgen
2. Rad
3. Rem
4. Sievert

Correct answer: 2. Rad